All Clostridia cause myonecrosis except-
1. C septicum
2. C difficle
3. Cnovyi
4. C welchii

Correct answer: 2. C difficle

Explanation: Ans. is 'b' i.e., C difficle o Anaerobic myonecrosis (gas gangrene) is caused by-Cl perfringens (Cl welchii) - most common (80%)Cl SepticumCl novyiCl histolyticumo Cl difficle causes Clostridium difficle-associated disease (CDAD) which also includes pseudomembranous enterocolitis.